Which of the following statements is false regarding Extradural hematoma
1. It is nearly always associated with skull fracture
2. It is more common in young male patients
3. They can be arterial or venous
4. There is no lucid interval and rapid deterioration occurs

Correct answer: 4. There is no lucid interval and rapid deterioration occurs

Explanation: The classical presentation of an EDH, occurring in less than one-third of cases, is initial injury followed by a lucid interval when the patient complains of a headache but is fully alert and orientated with no focal deficit. After minutes or hours, a rapid deterioration occurs, with contralateral hemiparesis, reduced conscious level and ipsilateral pupillary dilatation as a result of brain compression and herniation.